Which of the following is rapidly acting insulin:
1. Lente
2. Insulin glargine
3. Ultralente
4. Insulin lispro

Correct answer: 4. Insulin lispro

Explanation: Ans. D: Insulin Lispro Insulin is divided into four basic types based on how quickly it works and how long it lasts. Rapid-acting insulin (such as lispro/aspart/glulisine) is the fastest and shortest acting. It is taken as several daily injections up to 5 minutes before meals or just after eating. Rapid-acting insulin reaches its maximum effect in 1-2 hour and works for 2 to 5 hour. Short-acting insulin (such as regular insulin), which is taken 30 to 60 minutes before a meal, reaches its maximum effect in 2 to 4 hours and works for 6 to 8 hours. Intermediate-acting insulin (such as lente or Neutral Protamine Hagedorn) starts to work in 1 to 2 hours, reaches its maximum effect in 8 to 10 hours, and works for 20 to 24 hours. It may be used in the morning to control blood sugar levels for the first part of the day or in the evening to control blood sugar levels during the night. Long-acting insulin (such as ultra-lente or glargine) begins to work very slowly but lasts for 24 to 36 hours. Long-acting insulin usually has its maximum effect at 14 to 20 hours.